Indications of medical management In ectopic
1. Presence of fetal heart activity
2. Size <4 cm
3. Gestation <6 weeks
4. a-hCG>1500

Correct answer: 2. Size <4 cm

Explanation: Criteria for selection Hemodynamically stable No intrauterine pregnancy on ultrasound No tubal rupture Size of ectopic less than 4 cm If there is foetal cardiac activity use with caution Beta hcg level preferably less than 3000 IU/L (refer pgno:162 sheila 2 nd edition)